Commonest cause of intestinal obstruction in Down syndrome is:
1. Colonic atresia
2. Intestinal atresia
3. Duodenal atresia
4. Esophageal atresia

Correct answer: 3. Duodenal atresia

Explanation: c. Duodenal atresia(Ref: Nelson's 20/e p 610-615, Ghai 8/e p 637-639)Most common cause of Intestinal obstruction in Down's syndrome is duodenal atresia.